Substance ideal for GFR estimation is?
1. Inulin clearance
2. PAH clearance
3. Urea clearance
4. All of the above

Correct answer: 1. Inulin clearance

Explanation: Ans: a (Inulin clearance)^/: Ganong, 22nd ed,p. 706GFR can be measured in intact experimental animals and humans by measuring the excretion and plasma level of a substance that is freely filtered through the glomeruli and neither secreted nor reabsorbed in the tubules.Inulin is a polymer of fructose with a molecular weight of 5200 obtained from Dahlia tubers, meets the above criterion and is extensively used to measure GFR.Remember Ideal substance to measure GFR-InulinSubstance used for practical purposes-CreatinineSubstance used to measure renal blood flow-PAHNormal GFR of human beings-125 ml/min ClearanceCx=UVP=Urine concentrationsne flow/time (V)Plasma concentration.